Cognitive disordres are
1. Intellectualization
2. Depersonilization
3. Dementia
4. All

Correct answer: 3. Dementia

Explanation: C i.e. Dementia - Cognitive or higher mental functions (i.e. abstract thinkingQ, concentration, memory, intelligence, orientation, consciousnessQ) are disturbed in organic brain syndromesQ (le delirium, dementia or organic amnestic syndromeQ). Impaired cognitive functions with delusions & hallucinations indicate towards diagnosis of delirium.